True about iron deficiency anemia are all EXCEPT?
1. Microcytic hypochromic anemia
2. Decreased TIBC
3. Bone marrow iron decreased earlier than serum iron
4. Decreased transferrin saturation

Correct answer: 2. Decreased TIBC

Explanation: TIBC is increased in iron deficiency anemia IRON DEFICIENCY ANEMIA: - Most common cause of anemia in children - Occurs when there is decrease in total body iron content - severe enough to diminish erythropoiesis & cause anemia - Clinical features: Pallor , fatigue, Smooth tongue, pica, koilonychia - Peripheral Smear : shows Microcytic Hypochromic Anemia , anisocytosis, target cells , pencil cells - Other parameters: RDW Increased Serum iron Decreased Serum ferritin Decreased TIBC Increased Mentzer Index: >14 - Bone marrow iron decreased earlier than serum iron - Decreased transferrin saturation - Treatment: Iron supplementation